All are true about thrombotic thrombocytopenic purpura except ?
1. Microangiopathic hemolytic anemia
2. Thrombocytopenia
3. Normal complement level
4. Grossly abnoimal coagulation tests

Correct answer: 4. Grossly abnoimal coagulation tests